Tissue displacement commonly needed to obtain
1. Adequate access to prepared tooth
2. To expose all necessary surfaces, both prepared and not prepared
3. Both of the above
4. None of the above

Correct answer: 3. Both of the above